All of the following cause hypertension except:
1. NSAID
2. Erythropoietin
3. Cyclosporine
4. L-dopa

Correct answer: 4. L-dopa

Explanation: L-dopa a. NSAID Cause retention of sodium and water causing oedema and also decreases the effects of antihypertensive drugs. Hypertension is more common in coxib users than NSAID. c. Cyclosporine May cause hypertension in 50% of renal transplants and in almost all cardiac transplants. d. L-Dopa Peripheral decarboxylation of L-dopa releases dopamine which in circulation may activate vascular dopamine receptors and cause orthostatic hypotension. Administration of L-dopa with nonspecific MAO inhibitors may precipitate hypertensive crisis and hyper pyrexia. Drugs Causing Hypertension * Clonidine withdrawal * Corticotropin * Cyclosporine * Erythropoietin * MAO inhibitors with sympathomimetic * NSAID (some) * OCP * Sympathomimetic * TCA with sympathomimetic So, L Dopa is the answer here.